First change of improvement noted after iron therapy is initiated:
1. Decreased irritability
2. Reticulocytosis
3. Increase in serum iron levels
4. Replenishment of iron stores

Correct answer: 1. Decreased irritability

Explanation: RESPONSE TO TREATMENT IN IRON DEFICIENCY ANEMIA: Time after Iron administration Response 12-24 hours Decreased irritability, increased appetite 48-72 hours Reticulocytosis, peaks at 5-7 days post treatment 4-30 days Increase in Hb level (best measure) 1-3 months Repletion of stores